Only anticholinergic commonly used to reverse the action of neuromuscular blocker
1. Edrophonium
2. Physostigmine
3. Pyridostigmine
4. Neostigmine

Correct answer: 4. Neostigmine

Explanation: All the given drugs are used for neuromuscular blockade reversal, However neostigmine is the most commonly used one.